Optic nerve injury following sinus surgery is due to removal of which ethmoidal cells?
1. Haller
2. Agger nasi
3. Onodi cells
4. Bullae cells

Correct answer: 3. Onodi cells

Explanation: Onodi cell "Onodi cell" is the posterior most posterior ethmoid cell extending lateral to the sphenoid sinus. While removing disease from the Onodi cells there are chances of injury to optic nerve and internal carotid which lie in the vicinity. The posterior ethmoidal cells in the floor of orbit are known as "Haller cells".